Vision 2020 "The right to sight" includes all except-
1. Trachoma
2. Measles induced blindness
3. Cataract
4. Onchocerciasis

Correct answer: 2. Measles induced blindness

Explanation: Ans. is 'b' i.e., Measles induced blindness o After the realization that unless blindness control efforts are intensified, the prevalence of blindness will double by 2020 AD, the WHO along with an International Partnership committeee launched the Vision 2020 Initiative in 1995.o The diseases identified for global elimination include : -1. Cataract blindness2. Trachoma blindness and transmission3. Onchorerciasis4. Avoidable causes of childhood blindness5. Refractive errors and low visiono Targets have been set up for each of the component diseases for the next 20 years, o Above 5 diseases were for global vision 2020. Indian vision 2020 includes following seven diseases.i) Cataract blindnessii) Trachoma blindness and transmissioniii) Childhood blindnessiv) Refractive errors and low visionv) Glaucomavi) Diabetic retinopathyvii) Corneal blindness